Which of the following non-depolarising muscle relaxant is excreted maximaly through kidney:
1. Gallamine
2. Pancuronium
3. Vecuronium
4. Rocuronium

Correct answer: 1. Gallamine

Explanation: Gallamine